Clinical features of submucous cleft deformity
1. Bifid uvula
2. Notching of the posterior edge of the hard palate
3. Midline translucency of the soft palate
4. All of the above

Correct answer: 4. All of the above